In which of the following, intraocular pressure is very high and inflammation is minimum?
1. Agute iridocyclitis
2. Glaucomatocyclic crises
3. Angle closure glaucoma
4. Hypertensive uveitis

Correct answer: 2. Glaucomatocyclic crises

Explanation: In glaucomatocyclitic crisis there is mild uveitis with severe rise of IOP. It is also known as Posner Schlossman syndrome. Treatment: medical treatment to lower IOP along with a short course of topical steroids. Ref .khurana page no. 167